Not seen in osteopetrosis -
1. Compression of cranial nerve
2. Osteomyelitis mandible
3. Pancytopenia
4. None

Correct answer: 4. None

Explanation: Osteopetrosis also known as marble bone disease/Alber's-Schonberg disease which is transmitted as autosomal dominant or in severe case as autosomal recessive, is characterised by dense and brittle bones, anemia, jaw osteomyelitis and cranial nerve palsies. Disease is due to functional deficiency of osteoclast leading to failure of bone resorption. Reference-Essential orthopaedics- Maheshwari-5th edn-pg no 317